Non–depolarizing blockade is potentiated by :
1. Hyperkalemia
2. Hypomagnesemia
3. Chronic phenytoin therapy
4. Quininidine

Correct answer: 4. Quininidine